The electron flow in Cytochrome C oxidase can be blocked by the following agent:
1. Rotenone
2. Antimycin-A
3. Cyanide
4. Actinomycin

Correct answer: 3. Cyanide

Explanation: Cytochrome oxidase is a hemoprotein widely distributed in many tissues, having the typical heme prosthetic group present in myoglobin, hemoglobin, and other cytochromes. It is the terminal component of the chain of respiratory carriers found in mitochondria and transfers electrons resulting from the oxidation of substrate molecules by dehydrogenases to their final acceptor, oxygen. The action of the enzyme is blocked by carbon monoxide, cyanide, and hydrogen sulfide, and this causes poisoning by preventing cellular respiration. Ref: Botham K.M., Mayes P.A. (2011). Chapter 12. Biologic Oxidation. In D.A. Bender, K.M. Botham, P.A. Weil, P.J. Kennelly, R.K. Murray, V.W. Rodwell (Eds), Harper's Illustrated Biochemistry, 29e.